Naglers reaction is shown by -
1. Cl. tetani
2. Cl. botulinum
3. Cl. perfringens
4. Cl. septicum

Correct answer: 3. Cl. perfringens

Explanation: Ans. is 'c' i.e., Cl. perfringenes